The normal cellular counterpart of oncogenes are important for the following function , except
1. Promotion of cell cycle progression
2. Inhibition of Apoptosis
3. Promotion of DNA repairs
4. Promotion of nuclear transcription

Correct answer: 3. Promotion of DNA repairs

Explanation: Ref Robbins 7/e p293, 295, The normal cellular counterpart of oncogenes is known as proto oncogene.proto oncogene are important for cellular function related to growth and proliferation .proteins encoded by these genes may function as growth factors ligands and receptors.signal transducers, transcription factor and cell cycle component Chail writes that proto oncogene encoded proteins that function to stimulate cell division ,inhibits cell differentiation and halt cell death.all of these process are important for normal human development and for the maintainance of tissues and organs . oncogenes, however typically exhibits increased production of these proteins Thus leading to increased cell division , decreased cell differentiation and inhibition of cell death ,so we can say that these genes may inhibit apoptosis